Drugs associated with ischemic stroke include the following except
1. Cocaine
2. Oral contraceptives
3. Amphetamines
4. Barbiturates

Correct answer: 4. Barbiturates

Explanation: *misuse of oestrogen containing drugs like oral contraceptive pills ,hormone replacement therapy,cocaine ,amphetamine,alcohol are modifiable risk factors of ischemic stroke . Ref Harrison20th edition pg 2445